Positive fluorescein dye disappearance test indicates that watering eye is due to:
1. Atonia of the sac
2. Mechanical obstruction in the lacrimal passages
3. Both of the above
4. None of the above

Correct answer: 3. Both of the above

Explanation: Ans. Both of the above